CRF shows all except
1. Hyperphosphatemia
2. Hyperuricaemia
3. Decreased 11/2 of insulin
4. Decreased serum vitamin D3

Correct answer: 3. Decreased 11/2 of insulin

Explanation: Ans. is 'c' i.e., Decreased of insulin